Concentration of sodium in reduced osmolarity ORS (in mmoUlitre) ?
1. 50
2. 75
3. 65
4. 20

Correct answer: 2. 75

Explanation: Ans. is 'b' i.e., 75 Because of the improved effectiveness of reduced osmolarity ORS solution, WHO and UNICEF are recommending that countries manufacture and use the following formulation in place of the previously recommended ORS solution. Composition of reduced osmolarity ORS Reduced osmolarity ORS grams/litre Sodium chloride 2.6 Glucose, anhydrous 13.5 Potassium chloride 1.5 Trisodium citrate, dihydrate 2.9 Total weight 20.5 Reduced osmolarity ORS mmol/litre Sodium 75 Chloride 65 Glucose, anhydrous 75 Potassium 20 Citrate 10 Total osmolarity 245